Which of the following drugs causes an increase in the effective refractory period of the atrioventricular (AV) node?
1. bretylium
2. amiodarone
3. procainamide
4. quinidine

Correct answer: 2. amiodarone

Explanation: Amiodarone causes a decrease in the sinus rate and an increase in the effective refractory period in the atrium, the AV node, and the ventricle. The pharmacology of amiodarone is complex and incompletely understood.